Which of the following ALL will not show a dismal prognosis?
1. Age between 1-10 years
2. TLC > 1 lac
3. Petechiae
4. t(9:22)

Correct answer: 1. Age between 1-10 years

Explanation: Prognostic factor in acute lymphoblastic leukemia Excellent prognosis Excellent prognosis t(12;21) and TEL-AML1 fusion Hyperdiploidy and trisomy of specific chromosomes (4, 10 and 17) is associated with an excellent prognosis. Age > 1 years and < 10 years Dismal prognosis t(9;22) or Philadelphia chromosome and BCR-ABL fusion Hypodiploidy with chromosome number<45 is associated with a poor prognosis Age > 10 years WBC> 50,000/cu.mm3 CNS leukemia at presentation